Which of the following is a feature of Ulcerative colitis?
1. Spiking fever
2. Proctitis
3. Fistula formation
4. Cobble stone mucosa

Correct answer: 2. Proctitis

Explanation: a. Spiking fever - positive in Crohn's disease because of intraabdominal abscess. b. Proctitis - Rectum inflammation is a feature of Ulcerative colitis. c. Fistula formation - Positive in Crohn's disease d. Cobble stone mucosa - Positive in Crohn's disease